A patient on examination showed bronchial breathing and increased vocal resonance in the middle over the back just below the level of 4th thoracic vertebra. This is called:
1. Ewarts sign
2. D'Espine sign
3. Hamman's sign
4. Hoffmann's sign

Correct answer: 2. D'Espine sign

Explanation: D'Espine sign is the presence of bronchial breath sounds with increased vocal resonance in the midline over the back below the level of T4 vertebra. It is seen in case of mediastinal mass. Also know: Hammans sign - is seen in children with mediastinal emphysema. Ewarts sign- is bronchial breathing and bronchophony over the left lower interscapular area. It is seen in patients with pericardial effusion which compresses on the left main bronchus resulting in collapse of the lung. Ref: Meharban Singh, Edition 3, Page 169.